Which among the following is NOT used in leptospirosis?
1. Microscopic agglutination test
2. Dark field illumination
3. Macroscopic agglutination test
4. Weil felix reaction

Correct answer: 4. Weil felix reaction

Explanation: Weil felix reaction